Well dressed man came for feeling of women trapped in man body is suffering from ?
1. Paraphilia
2. Transverium
3. Gender identity disorder
4. Protterurism

Correct answer: 3. Gender identity disorder

Explanation: Ans. is 'c' i.e., Gender identity disorder Gender identity disorder These disorders are characterized by disturbance in gender identity, i.e., the sense of one's masculinity or faminity is disturbed. Gender identity disorders has following two characteristics : ? 1. A strong and persistent cross gender identification which is manifested by : ? Repeatedly stated desire to be, or the insistence that he or she is , of the other sex. Wearing the clothes of other sex (cross dressing), Preference for cross-sex roles in plays or fantasies, Preference for playmates of the other sex. 2. Persistent discomfort with his or her sex. Important gender identity disorders are : - Transsexualism : - It has all the characteristic of gender identity disorder (see above). The most characteristic feature is that there is marked preoccupation with the wish to get rid of one's genitals and secondary sex characteristics and to adopt the sex characteristics of other sex (perceived-gender), e.g., Female transexuals request for hysterectomy or mastectomy. Dual-role transvestism : - It is characterized be wearing of clothes of opposite sex in order to enjoy the temporary experience of membership of the opposite sex, but without any desire for a more permanent sex change (unlike transsexualism). Both transexualism and dual-role transvestism should be differentiated from transvestism (fetishistic transvestism) which is not a gender identity disorder and characterized by wearing the clothes of other sex for the purpose of sexual excitment. Gender-identity disorder of childhood : - This disorder is similar to transsexualism with a very early age of onset (2-4 years of age).